Standard site for primary bone graft -a) Pelvisb) Greater trochanterc) Medial malleolusd) Lateral melleoluse) Fibula
1. a
2. b
3. ab
4. ae

Correct answer: 4. ae

Explanation: Standard site for primary cancellous bone graft → Iliac crest of pelvis.
Standard site for primary cortical bone graft → fibula.